In a survey, many children are examined and were found to have urogenital abnormalities. Which congenital anomaly is associated with increased risk of bladder carcinoma.
1. Medullary sponge kidney
2. Bladder exstrophy
3. Unilateral renal agenesis
4. Double ureter

Correct answer: 2. Bladder exstrophy

Explanation: Ans is b ie Bladder exstrophy Congenital anomalies associated with increased risk of bladder cancer are: - patent urachus - exstrophy bladder - Both increase the risk for adenocarcinoma.